Which one of the following is not a prion associated disease :
1. Scrapie
2. Kuru
3. Creutzfeldt-Jakob disease
4. Alzheimer's disease

Correct answer: 4. Alzheimer's disease

Explanation: Answer is D (Alzheimer's disease): Alzheimer's disease is the most common cause of dementia in the Western World. It is not classified as a Prion disease.